A patient comes with the H/O swelling in the submandibular region. He is diagnosed to have submandibular abscess. The incision to drain the abscess is put 1 cm below the base of the mandible because
1. The submandibular gland appears 1 cm below the mandible
2. It is difficult to incise along the margin of the mandible
3. The marginal mandibular nerve may be injured if incision is along the base of mandible
4. To avoid injury to the cervical branch of facial nerve

Correct answer: 3. The marginal mandibular nerve may be injured if incision is along the base of mandible